"Sub mucosal" glands are present in which one of the following organs?
1. Duodenum
2. Colon
3. Anal canal
4. Stomach

Correct answer: 1. Duodenum

Explanation: Duodenum